All of the following are true about loculated pleural effusion except-
1. It makes an obtuse angle with the chest wall
2. The margins are diffuse when viewed end on
3. Not confined to any bronchopulmonary segment
4. Air bronchograms are seen within the opacity

Correct answer: 4. Air bronchograms are seen within the opacity

Explanation: D i.e. Air bronchogram are seen within the opacity